Incubation period of Measles
1. 14 days
2. 1 month
3. 3 month
4. 5 month

Correct answer: 1. 14 days

Explanation: Measles is an acute infectious disease caused by myxovirus with an incubation period commonly between 10 days from exposure to onset of fever and 14 days to onset of rash Ref : Park's Textbook of Preventive and Social Medicine; 23rd edition